Palmar venous network in the palm of hand gives rise to
1. Cephalic vein
2. Basilic vein
3. Median antebrachial vein
4. All the above

Correct answer: 3. Median antebrachial vein

Explanation: Palmar venous network in the palm of hand gives rise to the median antebrachial vein Median antebrachial vein is a superficial vein of anterior forearm. It drains the superficial structures of forearm and wrist It ascends to cubital fossa where it drains into medial cephalic and median basilic veins in an inverted Y shaped configuration. Ref: Gray's Anatomy The Anatomical Basics of Clinical Practice 41 e pg 224